Fetal growth restriction is defined as estimated fetal weight is below the ------ for their Gestational age
1. 3rd percentile
2. 5th percentile
3. 10th percentile
4. 15th percentile

Correct answer: 3. 10th percentile

Explanation: IUGR is replaced by fetal growth restriction, which was designed to identify fetuses with estimated weight below the 10th percentile for their gestational ages.Reference: Practical guide to High-risk pregnancy and delivery; Chapter 4; Fetal growth restriction